Hutchinson's triad of congenital syphilis includes all of the following except
1. Eighth nerve deafness
2. Interstitial keratitis
3. Hutchinson's teeth
4. Saddle nose

Correct answer: 4. Saddle nose

Explanation: Ans. Saddle nose